Coxsackie A virus causes all except
1. Aseptic meningitis
2. Herpangina
3. Foot and mouth disease
4. Bornbolm disease

Correct answer: 4. Bornbolm disease

Explanation: cox sackie virus causes hetpangina,aseptic meningitis,HFMD